Skin lesion in meningococcal meningitidis is due to
1. Exotoxin
2. Endotoxin
3. Allergic reaction
4. Direct vascular Damage

Correct answer: 2. Endotoxin

Explanation: The endotoxin lipopolysaccharide of Meningococci is released by autolysis.- vascular endothelium is particularly sensitive to the endotoxin. All major inflammatory cascade systems, as well as cytokines and nitric oxide, are triggered and unregulated. Reference: Textbook of Microbiology; Anathanarayan and panicker's; 10th edition; Page no: 232